All are example for randomised control trials except-
1. Natural experiments
2. Clinical trials
3. Risk factor trials
4. Preventive trials

Correct answer: 1. Natural experiments

Explanation: .the major type of randomised controlled trials includes, 1.clinical trials 2.preventive trials. 3.risk factor trials 4.cessation experimnts 5.trial of aetiological agents. 6.evaluation of health services. ref:park's textbook,ed 22,pg no 82